Sputum can be sterilized by all of the following, EXCEPT:
1. Chlorhexidine
2. Cresol
3. Boiling
4. Autoclaving

Correct answer: 1. Chlorhexidine

Explanation: Sputum can be disinfected using: 5% cresol Burning Boiling Autoclaving Ref: Park 21st edition, page 119.